Peripheral resistance of arteries measures:
1. Systolic pressure
2. Diastolic pressure
3. Mean pressure
4. Pulse pressure

Correct answer: 2. Diastolic pressure